Grey colour & yellow fluorescence in infant teeth is caused by:
1. Phenvtoin
2. Porphyria
3. Tetracycline
4. Barbiturate

Correct answer: 3. Tetracycline

Explanation: Ans: C (Tetracyclines) Ref: The Pharmacological basis of therapeutics by Goodman & Gilman - 12th edition, page no. 1526Explanation:TetracyclinesTetracyclines cause grey colour & yellow fluorescence in infant teeth.The discoloration is dependent on the total drug dose more than the number of days of exposure to drug therapy.The drug gets deposited in the teeth and bones as tetracyclines can bind with calcium to form chelation complexes in these tissues.Children of mothers exposed to tetracyclines during pregnancy are at high risk.The greatest time at which the risk is maximal is between 20 weeks gestation to 6 months post natal period.